High dose radiotherapy causes pancreatic ?
1. Acinar deficiency
2. Islets of Langerhans deficiency
3. A + B
4. None

Correct answer: 1. Acinar deficiency

Explanation: Ans. is 'a' i.e., Acinar deficiency o Acinar cells are radiosensitive while islets are relatively radioresistant.